A patient meets with an accident with resultant transaction of the pituitary stalk; what will NOT occur:
1. Diabetes mellitus
2. Diabetes insipidus
3. Hyperprolactinemia
4. Hypothyroidism

Correct answer: 1. Diabetes mellitus

Explanation: Answer is A (Diabetes Mellitus): Insulin is a pancreatic hormone, not under the control of pituitary. Transection of the pituitary stalk would therefore in no way affect glucose levels or lead to diabetes mellitus.